Hyaline membrane is seen in all of the following conditions, EXCEPT:
1. Radiation pneumonitis
2. Viral pneumonitis
3. Uremic pneumonitis
4. Staphylococcal bronchopneumonia

Correct answer: 4. Staphylococcal bronchopneumonia

Explanation: Staphylococcal bronchopneumonia is characterized by the formation of small abscesses. In infants it can also cause pneumatoceles. Hyaline membrane formation is not seen in this infection. In diffuse alveolar damage there is injury to the alveolar epithelial and endothelial cells. Injury to the endothelial cells allows leakage of proteinaceous fluid from alveolar capillaries to the interstitial space. Loss of type I pneumocytes cause fluid to enter the alveolar space and cause precipitation of plasma proteins resulting in the formation of hyaline membranes on the injured alveolar walls. Conditions associated with diffuse alveolar damage are: Infections: Pneumocystis carinii Viruses Fungi Legionella Toxins Drugs Shock: traumatic, septic, cardiogenic Radiation Acute pancreatitis Ref: Color Atlas of Pulmonary Cytopathology By Sudha R. Kini page 40, Rubin's Pathology: Clinicopathologic Foundations of Medicine edited by Raphael Rubin, M.D.page 558. Essentials of Rubin's Pathology edited by Emanuel Rubin, page 250